Which of the following side effects are seen with etomidate-
1. Myoclonus, Adrenal suppression, Haemodynomic imbalance(HI)
2. Myoclonus, adrenal suppression, pain on IV injection
3. Pain on IV injection, Adrenal suppression, HI
4. Pain on IV injection, HI ,Myoclonus.

Correct answer: 2. Myoclonus, adrenal suppression, pain on IV injection

Explanation: Etomidate a intravenous anaesthetic agent is Milky white in colour , imidazolone derivative, causes pain on iv injection. Major advantages over other intravenous agents is cardiovascular stability thus use cardiac compromised patients Routinely not in clinical use since it is adrenal suppressant. Other side effects myoclonus and increased nausea and vomiting.